Monoclonal antibody that neutralizes anthrax toxin
1. Raxibacumab
2. Cetuximab
3. Panitumumab
4. Alemtuzumab

Correct answer: 1. Raxibacumab

Explanation: Raxibacumab is Intended for the prophylaxis and treatment of inhaled anthrax.